Use of oral contraceptives decreases the incidence of all of the following except:
1. Ectopic pregnancy
2. Epithelial ovarian malignancy
3. Hepatic adenoma
4. Pelvic inflammatory disease

Correct answer: 3. Hepatic adenoma